The most suitable measure for assessing the etiological role of a factor in a disease is
1. Relative risk
2. Case fatality rate
3. Attributable risk
4. Population attributable risk

Correct answer: 1. Relative risk

Explanation: The relative risk (RR) or risk ratio is the ratio of the probability of an outcome in an exposed group to the probability of an outcome in an unexposed group. It's a direct measure of the association between suspected cause and effect. Ref: 25th edition, Park's Textbook of Preventive and Social Medicine, Page no. 86